which sign is seen on USG when the femoral vein meets the GSV and femoral artery at saphena femoral junction
1. Mickey mouse sign
2. String sign
3. Tillaux sign
4. stemers sign

Correct answer: 1. Mickey mouse sign

Explanation: ref : david sutton 9th ed